Which of the following if seen on Day 10 of life, is worrisome?
1. Conjugated hyperbilirubinemia
2. Dolls Eye Reflex
3. No weight gain
4. Unconjugated hyperbilirubinemia

Correct answer: 1. Conjugated hyperbilirubinemia

Explanation: Discussing about the options one by one, a. Presence of conjugated hyperbilirubinemia is abnormal at any time of life including neonatal period b. A neonate may fixate on face or light in line of vision and "Doll's-eye" movement of eyes is seen c. Physiological weight loss is seen in neonates and birth weight is regained by day 10 of life in term neonates, after which weight gain begins d. Jaundice is seen in 60% of term infants and 80% of preterm infants; Physiological jaundice is always unconjugated.